Orthotolidine test is used to determine-
1. Nitrates in water
2. Nitrites chlorine in water
3. Free and combined chlorine in water
4. Ammonia content in water

Correct answer: 3. Free and combined chlorine in water

Explanation: Ortho-toluidine test is used to determine both free and residual chlorine with speed and accuracy. It is done using ortho-toluidine dissolved in 10 per cent solution of hydrochloric acid. When added to water containing chlorine it turns yellow and its intensity varies with the concentration of the gas. Ortho-toluidine Arsenite test is used to determine free and residual chlorine separately. (PARK TB (25th edition pg 775)